Which of the following is the most reliable criteria in Gustafson's method of identification?
1. Attrition
2. Cementum apposition
3. Transparency of root
4. Root resorption

Correct answer: 3. Transparency of root

Explanation: Gustafsons method is used in the estimation of age of an adult above 21 years depending on the physiologic age changes in each of the dental tissues. Transparency of root is the most reliable criteria among the Gustafsons method of identification. It is seen after 30years of age. Canal in the dentine is wide at first, it increases in size with age due to deposition of minerals. A s a result they become invisible & dentine becomes transparent. Ref:The Essentials of Forensic Medicine and Toxicology By Dr K S Narayan Reddy, Page 63